Relationship between nerve thickness and conduction velocity of myelinated nerves is:
1. Linear
2. Parabolic
3. Hyperbolic
4. No relation

Correct answer: 1. Linear

Explanation: Fiber diameter (thickness) and conduction velocity relationship:  The relationship is linear  for  myelinated  axons  and  parabolic relation for nonmyelinated axons.